An 18-year-old man moves from sea level to an elevation of 2,400 m to train as a skier. The increased requirement for oxygen delivery to tissues at the higher elevation stimulates the synthesis of a renal hormone (erythropoietin), which targets hematopoietic stem cells in the bone marrow. Erythropoietin promotes the survival of early erythroid progenitor cells primarily through which of the following mechanisms?
1. Altered cell-matrix adhesion
2. Downregulation of p53
3. Enhanced glucose uptake
4. Inhibition of apoptosis

Correct answer: 4. Inhibition of apoptosis

Explanation: - Recent studies indicate that erythropoietin promotes survival of early erythroid progenitor cells through inhibition of default apoptosis pathway. - Thus, this hormone rescues stem cells that are otherwise fated to undergo programmed cell death. - None of the other choices are known to control the expansion of hematopoietic stem cell colonies in bone marrow.